The polysaccharide capsule of following bacteria has in role in their infectivity except
1. Haemophilus influenza
2. Neisseria meningitides
3. Streptococcus pneumoniae
4. Bordetella pertussis

Correct answer: 4. Bordetella pertussis

Explanation: The polysaccharide capsule of Bordetella pertusis has no significant role in its infectivity. Bordetella fresh cultures demonstrated capsules but its virulence is mainly toxin-mediated.